Most radiosensitive organ is:
1. Liver
2. Fat
3. Bone marrow
4. Nervous tissue

Correct answer: 3. Bone marrow

Explanation: Ans. C: Bone Marrow Most radiosensitive organs: Bone marrow Gonads Growing cartilage Prepubescent breast Organs with lowest radiosensitivity: Adrenal Vagina Uterus Pancreas